In a well fed state, acetyl CoA obtained from diet is least used in the synthesis of
1. Palmity CoA
2. Citrate
3. Acetoacetate
4. Oxalosuccinate

Correct answer: 3. Acetoacetate

Explanation: Ketone bodies (acetoacetate) synthesis is decreased in fed state, so acetyl-CoA is not used for synthesis of ketone bodies in fed state.

About other options

Fatty acid (palimitoyl CoA) synthesis is increased in fed state. Fatty acids are synthesized from acetyl-CoA.
In fed state acetyl-CoA is oxidized via TCA cycle. Acetyl-CoA condenses with oxaloacetate to form citrate.
Oxalosuccinate is an intermediate of TCA cycle.